Therapy of choice for sleep-apnea syndrome is
1. Invasive ventilation
2. Non - Invasive ventilation
3. Oxygen inhalation
4. Use of respiratory stimulants

Correct answer: 2. Non - Invasive ventilation

Explanation: Harrison's principles of internal medicine 17th edition. * Majority of patients need to use continuous positive airway pressure(CPAP) delivered by a nasal mask every night to splint the upper airway open.